Substance for which both filtration and reabsorption occurs is
1. Insulin
2. Glucose
3. Creatinine
4. Para - amimo hippuric acid

Correct answer: 2. Glucose

Explanation: Insulin ⇒ only  Filtration occurs
Creatinine,para amono hippuric acid ⇒ Both filtration and secretion occurs.
Glucose ⇒ Both filtration and reabsorption occurs.